IPPV can cause -
1. Barotrauma
2. Pleural effusion
3. Missing
4. None of the above

Correct answer: 1. Barotrauma